In well fed state which of the following inhibit CPT1 on outer membrane of mitochondria:
1. Malonyl CoA
2. Acetyl CoA
3. ADP
4. Glucose

Correct answer: 1. Malonyl CoA

Explanation: Ans. A. Malonyl CoAInhibitor of carnitine shuttle: Malonyl CoA inhibits CPT1 thus preventing the entry of long chain acyl group into mitochondrial matrix. Therefore, when fatty acid synthesis is occurring in the cytosol the newly made palmitate cannot be transferred into the mitochondria and degraded.